Middle meningeal vessel damage results in
1. Subdural haemorrhage
2. Extra dural hemorrhage
3. Subarachnoid hemorrhage
4. Intracerebral haemorrhage

Correct answer: 2. Extra dural hemorrhage

Explanation: Extradural hematoma (EDH), also known as an epidural hematoma, is a collection of blood that forms between the inner surface of the skull and outer layer of the dura, which is called the endosteal layer. They are usually associated with a history of head trauma and frequently associated skull fracture. The source of bleeding is usually arterial, most commonly from a torn middle meningeal artery. EDHs are typically biconvex in shape and can cause a mass effect with herniation. They are usually limited by cranial sutures, but not by venous sinuses. Both CT and MRI are suitable to evaluate EDHs. When the blood clot is evacuated promptly (or treated conservatively when small), the prognosis of EDHs is generally good. Intracranial venous extradural hemorrhages and spinal epidural hemorrhages are discussed separately Refer Robbins page no 1261 9th edition